Transport of ADP into and ATP out of mitochondria is inhibited by:
1. Rotenone
2. Oligomycin
3. Atractyloside
4. Antimycin-A

Correct answer: 3. Atractyloside

Explanation: Atractyloside prevents transport of ADP into the mitochondria, and ATP out of the mitochondria by inhibiting the ADP/ATP transporter present in the inner mitochondrial membrane. Hence, ATP synthesis in the mitochondria is affected. Inhibitors of oxidative phosphorylation are oligomycin, atractyloside, and bongkrekate. Oloigomycin binds to the F0 subunit of ATP synthetase, and specially blocks passage of H+ through F0 subunit. Thereby ATP synthesis is inhibited. Bongkrekate also inhibits the ADP/ATP transporter present in the inner mitochondrial membrane. Rotenone inhibits the oxidation of NADH to NAD, thereby blocking the oxidation of NAD and the substrates such as glutamate, -ketoglutarate and pyruvate. Rotenone thus causes inhibition of mitochondrial respiratory chain complex I, and cell death by apoptosis due to excess generation of free radicals. Antimycin-A is an inhibitor of mitochondrial electron transfer complex III. Ref: Biochemistry Basics And Applied By Dr. R. A. Fursule, 2008, Page 11-14; Lippincott's illustrated biochemistry, 4th Edition, Page 79